Which of the following medications would be prescribed most freequently to patients suffering from chronic atrial fibrillation?
1. Lidocaine
2. Bretylium
3. Warfarin
4. Adenosine

Correct answer: 3. Warfarin

Explanation: (Ref: KDT 6/e p604) Patients of chronic atrial fibrillation are at high risk of developing thromboembolism. Oral anticoagulants are most frequently advised drugs in these patients to decrease the risk of this adverse effect.